Which of the following is the drug of choice of treatment of corneal ulcers caused by filamentous fungi ?
1. Itraconazole
2. Natamycin
3. Nystatin
4. Ketoconazole

Correct answer: 2. Natamycin

Explanation: Natamycine(5%),Amphotericin B(0.1 to 0.3%), and either fluconazole(0.2%) or miconazole(10mg/ml) or voriconazole are effective against Aspergillus and Fusarium.Reference:Comprehensive ophthalmology,AK Khurana,6th edition,page no.106